Sensory supply to diaphragm is through -
1. Phrenic nerve
2. Intercostal nerves
3. Both
4. None

Correct answer: 3. Both

Explanation: Ans. is 'c' i.e., Both o Nerve supply of diaphragm is as follows -i) Motor - Phrenic nerveii) Sensory - Phrenic nerve in central portion and lower six intercostal nerves in peripheral part.